Skin manifestations of PCOS are all except
1. Acne
2. Hirsutism
3. Seborrheic dermatitis
4. Alopecia

Correct answer: 3. Seborrheic dermatitis

Explanation: Ans. is c, i.e. Seborrheic dermatitisRef: Jeffcoates 9th/ed, p467Skin manifestations of PCOS are:* Acne* Hirsutism* Alopecia (androgenic alopecia)* Acanthosis nigricans